In treatment of pseudomonas infections, carbenicillin is frequently combined with -
1. Penicillin
2. Gentamycin
3. Ciprofloxacin
4. Amoxycillin

Correct answer: 2. Gentamycin

Explanation: Ans. is 'b' i.e., Gentamycin o For most of the infection of pseudomonas, treatment of choice is the combination of an antipseudomonal t3-lactam and an aminoglycoside.